Diphtheria carrier are diagnosed by
1. Gram’s staining
2. Throat culture
3. Albert’s staining
4. Schick test

Correct answer: 2. Throat culture